According to Ferriman-Gallwey scoring system -- hirsutism is diagnosed when score is more than:
1. 8
2. 12
3. 16
4. 20

Correct answer: 1. 8

Explanation: Ans. is a, i.e. 8Ref: Internet SearchFerriman-Gallway scoring is a scoring method for detecting hirsutism. In the original system--hair growth at 11 sites was noted:1. Upper lip7. Lower abdomen2. Chin8. Upper arms3. Chest9. Forearms4. Upper back10. Thighs5. Lower back11. Legs6. Upper abdomen In the modified method--2 sites were deleted-forearms and legs. Thus in the modified scoring system-hair growth is seen at 9 sites. In each of the nine locations-a score between 0-4 is given depending on growth of terminal hairMaximum score = 36In Caucasian women a score of 8 or higher is regarded as indicative of androgen excess.